Blood smear is best seen at pH of:
1. 7.2
2. 6.8
3. 6.6
4. 7

Correct answer: 2. 6.8

Explanation: Ans. (b) 6.8(Ref: Dacie 11 th/pg 59)*A pH of 6.8 is usually recommended for seeing blood smears*When looking for malaria parasites, a pH of 7.2 is recommended to see Schuffner's dots.